Which one of the following is NOT a feature of Turner's syndrome -
1. Short stature
2. Intellectual disability
3. Coarctation of aorta
4. Lymphedema

Correct answer: 2. Intellectual disability

Explanation: Ans. is 'b' i.e., Intellectual disability